Early complement deficiency can manifest as?
1. Hereditary angioneurotic edema
2. Atypical HUS
3. SLE
4. PNH

Correct answer: 3. SLE

Explanation: Deficiency of C1,C2,C4 (early complement deficiency) can manifest as SLE and other collagen vascular disorders.